Which of the following are characteristic markers for Hodgkin's Lymphoma?
1. CD15 and CD30
2. CD15 and CD45
3. CD30 and CD68
4. CD15 and CD3

Correct answer: 1. CD15 and CD30

Explanation: The tumor cells in Hodgkins Lymphoma are characteristically positive for CD15 and CD30 and negative for CD45. Ref: Robbin's Illustrated Pathology, 7th Edition, Page 688; Harrison's Principles of Internal Medicine, 16th Edition, Page 7655